The term applied when it is doubtful whether there will be space for all the teeth in mixed dentition analysis is:
1. Space maintenance
2. Space regaining
3. Space supervision
4. None of the above

Correct answer: 3. Space supervision

Explanation: Space supervision 

It is a term applied when it is doubtful, according to the mixed dentition analysis, whether there will be room for all the teeth.
Prognosis for supervision is always questionable, where as prognosis is always good for regaining space and for space maintenance.
Space supervision cases are those that will have a better chance of getting through the mixed dentition with clinical guidance than they will without.

Handbook of orthodontics  Moyers 4th Ed P-364